An antiepileptic drug 'A' can also be used for the treatment of post-herpetic neuralgia and pain due to diabetic neuropathy. Which of the following can be the agent 'A'?
1. Carbamazepine
2. Gabapentin
3. Lamotrigine
4. Primidone

Correct answer: 2. Gabapentin

Explanation: (Ref: KDT 6/e p409, 410) Gabapentin and progabide act by increasing the release of GABA. Gabapentin is the drug of choice for post-herpetic neuralgia and diabetic neuropathy.